The following statements about Fanconi's anaemia are true except-a) Progressive pancytopeniab) Simultanagnosiac) Visual object agnosiad) Increased chromosomal fragilitye) Associated skeltal abnormalities involving thumb and radius
1. a
2. c
3. ac
4. bc

Correct answer: 4. bc